Cough is an adverse reaction seen with intake of:
1. Thiazide
2. Nifedipine
3. Enalapril
4. Prazosin

Correct answer: 3. Enalapril